Agar syringe material can be used with/as:
1. Agar
2. Alginate impression material
3. Both of the above
4. Primary impression

Correct answer: 3. Both of the above